True statement about inheritence of an X linked recessive trait is -
1. 50% of boys of carrier mother are affected
2. 50% of girls of diseased father are carrier
3. Father transmits disease to the son
4. Mother transmits the disease to the daughter

Correct answer: 1. 50% of boys of carrier mother are affected

Explanation: Ans. is 'a' i.e., 50% of boys of carrier mother are affected